The Couinaud"s segmental nomenclature of the liver is based on the position of which of the following structures?
1. Hepatic veins and portal vein
2. Hepatic veins and biliary ducts
3. Portal vein and biliary ducts
4. Portal vein and hepatic artery

Correct answer: 1. Hepatic veins and portal vein

Explanation: According to the nomenclature of Couinaud classification, liver is divided into 4 sectors and 8 segments. Each segment has independent artery, bile duct, tributary of hepatic vein and portal tributary. Liver is divided into 8 couinaud's segments depending on the position of 3 main hepatic vein and portal vein. Hepatic veins lie between segments. The left hepatic vein divides the left side of the liver into medial and lateral segments. Middle hepatic vein divides the liver into left and right lobes. The right hepatic vein divides the right side of the liver into anterior and posterior segments. Horizontal line through the left and right main portal vein branches divide hepatic lobes into superior and inferior segments. Ref: Liver and Biliary Tract Surgery: Embryological Anatomy to 3D-Imaging By Constantine Ch Karaliotas, Page 452 ; Clinical Anatomy (A Problem Solving Approach) By Kulkarni, BR (FRW) Kat , 2nd Edition, Page 694-5